ALARA stands for?
1. As low as reasonably achievable
2. As low as radiation achievable
3. As low as reasonably accountable
4. None of the above

Correct answer: 1. As low as reasonably achievable

Explanation: As low as reasonably achievable (ALARA) is a principle of radioprotection stating that whenever ionizing radiation has to be applied to humans, animals or materials exposure should be as low as reasonably achievable. It is fundamental to the principles of radiation protection. 3 basic principles of ALARA: Time Distance Shielding.